Vegetations below the AV valves are present in -
1. Libman-Sacks endocarditis
2. Chronic rheumatic carditis
3. Acute rheumatic carditis
4. Non thrombotic endocarditis

Correct answer: 1. Libman-Sacks endocarditis